Uveal effusion syndrome may be associated with all of the following, Except –
1. Myopia
2. Ciliochoroidal detachment
3. Structural defect in Sclera
4. Nanophthalmos

Correct answer: 1. Myopia

Explanation: Uveal Effusion Syndrome (Ciliochoroidal Effusion) 

Uveal effusion syndrome is an idiopathic disease of the retina and choroid characterized by abnormal accumulation of serous fluid in the outer layer or ciliary body or choroids.
Main Features of uveal effusion syndrome are:-

1) Structurally abnormal sclera (Thick sclera)

Sclera contains high levels of abnormal proteoglycans which bind and trap large volumes of water. Thus the sclera thickens and may secondarily obstruct the choroidal venous drainage.

2)  Abnormal accumulation of serous fluid in the outer layer of the ciliary body and choroids

A detachment of Ciliary body (Exudative) - Ciliochoroidal detachments
A detachment of Choroid (Exudative) - Ciliochoroidal detachments


A detachment of Retina (Exudative)


The absence of inflammation or neoplastic disease (Low-grade inflammation may be seen )
Eyes may be nanopthalmic (small) or hypermetropic


Phthisis and hypotonia are usually due to ciliary body shut down from chronic detachment which compromises the blood supply to the ciliary processes.

3)  Mottling of pigment epithelium (Leopard spots) may be seen

Uveal effusion syndrome is frequently confused clinically with ring melanoma of the ciliary body/ choroids and metastatic tumors which form an important differential diagnosis of this condition.